Nerve ending sensitive to noxious stimuli are present in all except:
1. Stomach
2. Intestine
3. Mesentry
4. Liver

Correct answer: 4. Liver

Explanation: D i.e. Liver